Which is the usual marker for detection of hepatitis-
1. HBs Ag
2. HBs Ab
3. HBc Ag
4. HBc Ab

Correct answer: 1. HBs Ag